Mycobacteria non-pathogenic to man -
1. M. bovis
2. M. Kansai
3. M.avium intracellular
4. M.phlei

Correct answer: 4. M.phlei

Explanation: Ans. is 'd' i.e., M.Phlei Sparophytic mycobacteria not associated with human illness M. phlei, M.smegmatis, M.gordonae, M. paratuberculosis